Sinus of Morgagni is between:
1. Middle constrictor and inferior constrictor
2. Middle constrictor and superior constrictor
3. Superior constrictor and skull
4. None of the above

Correct answer: 3. Superior constrictor and skull

Explanation: Sinus of Morgagni is a gap between the base of skull and the upper concave border of superior constrictor muscle.
Structures passing through that are: Auditory tube, levator palati muscle, ascending palatine artery and palatine branch of the ascending pharyngeal artery.